The common cause of subarachnoid hemorrhage is:
1. Arterio-venous malformation
2. Cavernous angioma
3. Aneurysm
4. Hypertension

Correct answer: 3. Aneurysm

Explanation: Answer is C (Aneurysm): `The most common cause of subarachnoid haemorrhage is rupture of a saccular aneurysm (excluding head trauma)' - Harrison. Previously asked frequently as follows: (Excluding hand trauma) Most common cause of subarachnoid haemorrhage is rupture of a saccular aneurysmQ Most common cause of subarachnoid haemorrhage is rupture of a Berry aneurysmQ Most common cause of subarachnoid haemorrhage is rupture of 'Circle of Willis' aneurysmQ. (Saccular aneurysms are synonymous with Berry Aneurysms and most commonly occur in the anterior circulation on the Circle of Willis).